Which of the following is iron chelator:
1. Desferrioxamine
2. EDTA
3. BAL
4. Penicillamine

Correct answer: 1. Desferrioxamine

Explanation: Ans. A. DesferrioxamineEDTA is used for Manganese, iron, lead, bismuth. BAL is used for bismuth arsenic and lead. Penicillamine is used for copper poisoning. Dessferrioxime is iron chelator.